A farmer with long history depression on antidepressants, consumed unknown substance and presented with bradycardia, hypersalivation, small pupils. What is the most probable diagnosis?
1. OP poisoning
2. Atropine
3. TCA
4. Paracetamol poisoning

Correct answer: 1. OP poisoning

Explanation: Ans: A (OP poisoning) Ref: Harrison's Principles of internal Medicine. 18th edn.Explanation:MiosisMydriasisCholinergicsAnticholinergicsAntipsychoticsSympathomimeticsCarbamatesSSRIsOrganophosphatesSedative - hypnotics withdrawalOpioidsAlcohol Withdrawal syndromeClonidine Sedative - Hyponotics Clinical Features of Orqanophosphate PoisoningMuscarinic effectsCVS: Bradycardia , HypotensionResp: Rhinorrhea. Bronchorrhea,BronchospasmGIT: Hypersalivatioa Nausea and Vomiting, Abdominal pain. Diarrhea,Fecal incontinence. Urinary incontinenceOcular: Miosis, Blurred vision Glands: Increased lacrimation, DiaphoresisNioctinic effectsMuscle fasciculationsCrampingWeaknessDiaphragmatic paralysis Autonomic nicotinic effects(Mild): Tachycardia, Hypertension, Mydriasis and pallorCNS effectsAnxietyEmotional labilityRestlessnessConfusionAtaxiaT remorsSeizuresComa